Strawberry gingivitis is seen in:
1. Wegener's Granulomatosis
2. Scorbutic Gingivitis
3. Plasma Cell Gingivitis
4. Leukemic Gingivitis

Correct answer: 1. Wegener's Granulomatosis